An elderly patient with hypertension with diabetes, proteinuria without renal failure, antihypertensive of choice is -
1. Furosemide
2. Methyldopa
3. Enalapril
4. Propranolol

Correct answer: 3. Enalapril